Insulin increases the activity of
1. HMG-CoA reductase
2. HMG-CoA lyase
3. HMG-CoA synthase
4. Thiolase

Correct answer: 1. HMG-CoA reductase